Adamantinoma affects
1. Radius
2. Humerus
3. Femur
4. Tibia

Correct answer: 4. Tibia

Explanation: Epithelial tumors are classified into Ameloblastoma and adamantinoma, though both the tumors show same type of histopathology, they are not interchangeable. Ameloblastoma Adamantinoma Site Mandible Tibia Most common site for Ameloblastoma is mandible Most common type of cancer of mandible is squamous cell carcinoma.